Sausage digits is seen in -
1. Lyme arthritis
2. Osteoarthritis
3. Psoriatic arthritis
4. None

Correct answer: 3. Psoriatic arthritis

Explanation: Ans. is 'c' i.e., Psoriatic arthritis o Sausage digit refers to diffuse fusiform swelling of the digit due to soft tissue inflammation from underlying arthritis or dactylitis,o Causes are :-Psoriatic arthritisOsteomyelitisSickle cell anemiaSarcoidosisTubercular dactylitis (spina ventosa)